With reference to mumps which of the following is true?
1. Meningoencephalitis can precede parotitis
2. Salivary gland involvement is limited to the parotid
3. The patient is not infectious prior to clinical parotid enlargement
4. Mumps orchitis frequently leads to infertility

Correct answer: 1. Meningoencephalitis can precede parotitis

Explanation: Ans. is 'a' i.e., Meningoencephalitis can precede parotitis (Ref: Harrison, 19th/e, p. 1298)"Aseptic meningitis may develop before, during, after, or in the absence of parotitis."ABOUT OTHER OPTIONS:* Mainly parotid glands are involved, but sublingual and submaxillary glands may also be involved.* Patient is infectious 4 - 6 days before the onset of swelling.* Sterility after mumps orchitis is rare. Q